Obesity is associated with decreased risk of
1. Hypertension
2. Hyperuricemia
3. Osteoporosis
4. Heart disease

Correct answer: 3. Osteoporosis

Explanation: Answer- C. Osteoporosis